Streak gonads are classical of?
1. Edward syndrome
2. Patau syndrome
3. Klinefelter syndrome
4. Turner syndrome

Correct answer: 4. Turner syndrome

Explanation: Gonadal dysgenesis manifesting as streak gonads is very clasical of Turner syndrome.